t1/2 of haptoglobin complex is:
1. 5 days
2. 3 days
3. 10 days
4. 10 minutes

Correct answer: 4. 10 minutes

Explanation: - Half life of free Haptoglobin - 5 days. - Half life of Haptoglobin hemoglobin complex is 10-15 minutes. - In hemolytic anemias, excess Hb released from RBC destruction is bound to Haptoglobin & its complex is cleared rapidly, resulting in decreased serum/free Haptoglobin levels